Acceptable noise level in hospital wards
1. 20 - 35dB
2. 35 - 40 dB
3. 45-55dB
4. 50-60dB

Correct answer: 1. 20 - 35dB

Explanation: Ref:Park's Textbook of Preventive and Social Medicine 25th Ed